A 10-month old male child was having vomiting upon eating fruits, but is of normal weight. He has been exclusively breast fed till now. The doctor suggests fructose intolerance. Which of the following enzyme would be deficient in this child?
1. Aldolase B
2. Hexokinase
3. Fructokinase
4. Glucose-6-phosphatase

Correct answer: 1. Aldolase B

Explanation: Ans. a. Aldolase B